To which of the following thalamic nuclei do the cerebellar fibers project?
1. Anterior nucleus
2. Lateral dorsal nucleus
3. Lateral posterior nucleus
4. Ventral lateral nucleus

Correct answer: 4. Ventral lateral nucleus

Explanation: Cerebellar fibers (dentatothalamic) project to the Ventral Lateral Nuclei of thalamus, which in turn project to the motor cortex (area 4).